Bland cholestasis is caused by all of the following drugs, except
1. Androgen
2. OCP
3. Cyclosporine
4. Chlorpromazine

Correct answer: 4. Chlorpromazine

Explanation: Answer is D (Chlorpromazine) Chlorpromazine is associated with inflammatory cholestasis and not with Bland (non inflammatory) cholestasis.